Waterhouse-Friderichsen syndrome is seen in
1. Pneumococci
2. Neisseria meningitidis
3. Pseudomonas
4. Yersinia

Correct answer: 2. Neisseria meningitidis

Explanation: Fulminant meningococcemia caused by Neisseria meningitidis is called Waterhouse Friderichsen syndrome. Fatal condition - characterized by shock, disseminated intravascular coagulation and multisystem failure. Meningococcal disease is favored by the deficiency of the terminal component (C5-C9). Reference: Textbook of Microbiology; Anathanarayan and panicker's; 10th edition; Page no: 232